The "Human Development Index" focuses on all of the following except?
1. Infant mortality
2. Life expectancy at birth
3. Knowledge and education
4. Gross National Income

Correct answer: 1. Infant mortality

Explanation: Human Development Index (HDI) is defined as "a composite index focusing on three basic dimensions of human development to lead a long and healthy life measured by life expectancy at birth; the ability to acquire knowledge, measured by mean years of schooling and expected years of schooling; and the ability to achieve a decent standard of living, measured by gross national income per capita in PPP US $. Thus the concept of HDI reflects achievements in the most basic human capabilities, viz, leading a long life, being knowledgeable and enjoying a decent standard of living. Hence, these three variables have been chosen to represent those dimensions. The HDI is a more comprehensive measure than per capita income. Income is only a means to human development, not an end. Nor is it a sum total of human lives. Thus by focussing on areas beyond income and treating income as a proxy for a decent standard of living. the HDI provides a more comprehensive picture of human life than income does.